Platelet aggregation is caused by -
1. Nitrous oxide
2. Thromboxone A2
3. Aspirin
4. PGI2

Correct answer: 2. Thromboxone A2

Explanation: Robbins basic pathology 9th edition page no 46, Answer is option 2, thromboxaneA2 Thromboxane A2 is a potent platelet aggregating agent and a vasoconstrictor, is the major prostaglandin produced in these cells. Itvis an intrmediate produced in the cyclooxygenase pathway by the enzyme thromboxane synthase.